What is the most common site for extrapulmonary tuberculosis is?
1. Lymph nodes
2. Pleura
3. GIT
4. Brain

Correct answer: 1. Lymph nodes

Explanation: Ans. is 'a' i.e., Lymph nodes * Most common site of extrapulmonary tuberculosis is lymph nodes.* Other extrapulmonary sites of involvement are pleura, pericardium, meninges, brain, genitourinary system, GIT and skeletal system.